Cobblestone appearance conjunctiva is typically seen with-
1. Phyctenular conjunctivitis
2. Foreign body
3. Spring catarrh
4. Trachoma

Correct answer: 3. Spring catarrh

Explanation: In Palpebral form of VERNAL KERATOCONJUNCTIVITIS (VKC) OR SPRING CATARRH Signs of vernal keratoconjunctivitis are Usually upper tarsal conjunctiva of both eyes is involved. The typical lesion is characterized by the presence of hard, flat topped, papillae arranged in a 'cobble stone' or 'pavement stone', fashion . In severe cases, papillae may hypertrophy to produce cauliflower like excrescences of 'giant papillae'. Conjunctival changes are associated with white ropy discharge ref: A K KHURANA OPHTALMOLOGY,E4, Page-74